An 8-month-old boy is referred for evaluation following a urinary tract infection. Ultrasound examination of the abdomen is normal. The most appropriate investigation to evaluate his lower urinary tract is
1. Radionuclide cystogram
2. Micturating cystourethrogram
3. Intravenous pyelogram
4. Cystoscopy

Correct answer: 2. Micturating cystourethrogram

Explanation: Diagnostic imaging studies following UTI * Recommended radiological evaluation includes a combination of ultrasound abdomen, micturating urethrogram (MCU, most appropriate) and radionuclide renal scan. * Detailed radiological investigations are performed on all children: 1. Below 3-year-old with first UTI 2. Those with symptoms of pyelonephritis 3. Recurrent UTI 4. Abnormal voiding 5. Family history of UTI or hypertension. Procedure The estimated age-adjusted bladder capacity can be calculated using : linear equations: <1 year weight x 7 = capacity (mL) 2.5 x age + 38 = capacity (mL) <2 years: (age (years) + 2) x 30 = capacity (mL) 6 >2 years: ((age /2)+6) x 30 = capacity (mL) non-linear equations: (4.5 x age 0.40) x 30 = capacity Reference: GHAI Essential pediatrics, 8th edition